Which of the following is the active form of calcium in the body?
1. Ionized calcium
2. Complexed with phosphate
3. Complexed with oxalates
4. Bound to albumin

Correct answer: 1. Ionized calcium

Explanation: Ans. A. Ionized calciumThere is approximately 1 kg of calcium in the human body. About 99% exists in the bone and 1% in the extra cellular fluid. Plasma calcium exists in 3 forms:a. Complexed with organic acidsb. Protein boundc. IonizedThe ionized calcium which is maintained at a concentration between 1.1 and 1.3 mmol/L is biologically the most active fraction. The organism has very little tolerance for significant deviation from this normal range. If the ionic calcium levels fall the organism develops hyper excitability and develops tetanic convulsions. A marked elevation may result in death owing to muscle paralysis and coma.